Tooth pick with handle is known as :
1. Perioaid.
2. Periogaurd.
3. Peridex.
4. Periopaper.

Correct answer: 1. Perioaid.